Polio virus is shed in stool up to -
1. 6 weeks
2. 8 weeks
3. 10 weeks
4. 12 weeks

Correct answer: 4. 12 weeks

Explanation: - the polio is transmitted by faecal oral route by contaminmates food , water or hands. - in faeces, the virus is excreted as long as 3-4 months. Reference : Park's textbook of preventive and social medicine, 23rd edition, pg no:205